All regulation of renal potassium excretion & total body potassium balance occurs in
1. Proximal convoluted tubule
2. Ascending loop of Henle
3. Descending loop of Henle
4. Collecting duct

Correct answer: 4. Collecting duct

Explanation: Changes in whole-body K+ content are primarily mediated by the kidney, which reabsorbs filtered K+ in hypokalemic, K+-deficient states and secretes K+ in hyperkalemic, K+-replete states. Although K+ is transported along the entire nephron, it is the principal cells of the connecting segment (CNT) and cortical CD that play a dominant role in renal K+ secretion, whereas alpha-intercalated cells of the outer medullary CD function in renal tubular reabsorption of filtered K+ in K+-deficient states. Ref: Harrison 19e pg: 304